Which of the following statements about Acute Hemolytic blood transfusion reactions is true:
1. Complement mediated Hemolysis is seen
2. Type III Hypersensitivity is responsible for most cases
3. rarely life threatening
4. Renal blood flow is always mainatained

Correct answer: 1. Complement mediated Hemolysis is seen

Explanation: Answer is A (Complement mediated Hemolysis is seen) Acute Hemolytic Transfusion reactions following Blood transfusion are Type II hypersensitivity reactions caused most often by complement mediated hemolysis. These reactions are often life threatening and complications include Oliguria and acute renal failure (decreased renal blood flow). Treatment involves immediate termination of transfusion.